Citron bodies boat or leaf shaped pleomorphic organism in an exudate is -
1. Cl. welchii
2. Cl. edematiens
3. Cl. septicum
4. Cl. tetani

Correct answer: 3. Cl. septicum